A lady who presented with hematuria was found to have Stage II Transitional Cell carcinoma of bladder. Which of the following statements about management of her condition is true
1. Cystoscopic falguration is the standard treatment
2. Radical cystectomy
3. History of smoking is not a risk factor
4. There is no role of chemotherapy

Correct answer: 2. Radical cystectomy

Explanation: Stage II and greater or termed as muscle invasive bladder cancer Radical cystectomy is done in MIBC Because of the high rate of extravesical extension at the time of radical cystectomy, many patients are treated with neoadjuvant chemotherapy. Sabiston 20th edition pg : 2100